Postzone phenomenon is seen in ?
1. Antigen excess
2. Antibody excess
3. Equivalance zone
4. None of the above

Correct answer: 1. Antigen excess

Explanation: Ans. is 'a' i.e., Antigen excess Postzonc phenomeno - Antigen excessProzone phenomenon - Antibody excess